Which Vitamin RDA is related to Daily requirement for Proteins?
1. B1
2. B2
3. B3
4. B6

Correct answer: 4. B6

Explanation: - Daily requirements of Pyridoxine are directly related to protein intake. - With a low protein diet, less vitamin B6 (Pyridoxine) is needed. - Daily protein requirement Adults - 0.83 g/kg/day. Infants- - 1.16 g/kg/day ; - 1.69 g/kg/day.